Diphtheria toxin acts by -
1. Inhibiting acetyl choline release
2. Inhibiting glucose transport
3. Increasing levels of cyclic AMP
4. Inhibiting protein systhesis

Correct answer: 4. Inhibiting protein systhesis